Common cause of chronic pancreatitis
1. Chronic alcohol
2. Chronic pancreatic calculi
3. pancreas divisum
4. Gall bladder stones

Correct answer: 1. Chronic alcohol

Explanation: "Worldwide, alcohol consumption and abuse is associated with chronic pancreatitis in up to 70% of cases "- REF : BAIELY AND LOVE 37TH ED